Which is the only prokaryotic DNA polymerase with 5'-3' exonuclease activity?
1. DNA Polymerase I
2. DNA Polymerase II
3. DNA Polymerase III
4. DNA Polymerase IV

Correct answer: 1. DNA Polymerase I

Explanation: DNA polymerase I 1st DNA polymerase discovered Only polymerase with 5'-3' exonuclease activity. DNA polymerase I 5' - 3' polymerase Polymerisation 3' - 5' exonuclease Proofreading 5' - 3' exonuclease Removal of RNA primer, DNA repair, nick-translation